Normal calcium level in body is?
1. 9-11 mg%
2. 5-6 mg%
3. 7-9 mg%
4. 11-15 mg%

Correct answer: 1. 9-11 mg%

Explanation: Ans. a (9-11 mg%). (Ref. Harrison, Principles of Medicine, 18th/pg. A3)Chemical constituents of bloodSr. Albumin3.5-5.5 mg%AFP< 30 ng/mLAmylase< 40 U/LCalcium9-10.5 mg/dl (2.2-2.6 mmol/L)Chloride98-106 mEq/LFerritin10-200 ng/mL (female) 75-400 ng/mL (male)Iron50-150 mg/dLTIBC250-370 microgm/dlMagnesium1.8-3 mg/dLOsmolality285-295 mosmol/kg 2006)PSA< 40 0-2 ng/mL >/= 40, 0-4 ng/mLUric acid2.5 - 8 mg/dL (Male) 1.5 - 6 mg/dL (Female)